Mitochondrial chromosomal abnormaity leads to ?
1. Lebers hereditary optic neuropathy
2. Angelman syndrome
3. Prader villi syndrome
4. Myotonic dystrophy

Correct answer: 1. Lebers hereditary optic neuropathy

Explanation: Ans. is 'a' i.e., Lebers hereditary optic neuropathy o Diseases associated with mitochondrial inheritance are rare and many of them affect the neuromuscular system. o Leber hereditary optic neuropathy is a prototype of this disorder. It is a neurodegenerative disease that manifests itself as progressive bilateral loss of central vision. Visual impairment is first noted between ages 15 and 35, and it leads to blindness. Cardiac conduction defects & minor neurologic manifestations have also been seen in some families.